Which of these is true regarding CML –
1. Size of splenomegaly indicates prognosis
2. Phagocytic activity of WBC is reduced
3. Sudan black stain is specific for myeloblast
4. Myeloblast, granuloblast and lymphoblast become PH chromosome +ve, –ve following remission

Correct answer: 1. Size of splenomegaly indicates prognosis